Treatment of malignant glaucoma includes all except:
1. Topical atropine
2. Topical pilocarpine
3. IV mannitol
4. Vitreous aspiration

Correct answer: 2. Topical pilocarpine

Explanation: Ans. Topical pilocarpine